Which is the marker for lipid peroxidation:
1. Catalase
2. Glutathione reductase
3. Maltase
4. Malon dialdehyde

Correct answer: 4. Malon dialdehyde

Explanation: MDA (Malon dialdehyde) is also considered the marker of lipid peroxidation. Other products of peroxidation are:- Oxidized LDL Oxysterols Prostanoids. WITH REGARDS TO OTHER OPTIONS: (Option a & b)-Catalase and Glutathione reductase are preventive antioxidants that causes breakdown of H2O2. (Option c)-Maltase enzyme breaks alpha (1 - 4) bonds of maltose, releasing many Monosaccharides, i.e. glucose.